Which of the following anticholinesterase is derived from natural source ?
1. Physostigmine
2. Neostigmine
3. Pyridostigmine
4. Tacrine

Correct answer: 1. Physostigmine